All are Flaviviruses except:
1. HCV
2. Chikungunya
3. Yellow fever
4. Japanese B encephalitis virus

Correct answer: 2. Chikungunya

Explanation: Ans. B. Chikungunyaa. Chikungunya belongs to the genus alphavirus of the family Togaviridae.b. Two genera of medical importance in Flaviruses-I. Flavivirus: arthropod borne viruses; Yellow fever, JEV, Dengue...II. Hepacivirus: Hepatitis C virus, non-arthropod bornec. Two genera of medical importance in Toga viruses-I. Genus- Alphavirus: Chikungunya, Onyong-nyong, WEE, VEE, EEE.II. Genus- Rubivirus: Rubella.